True about area specific Curette is
1. Used in specific areas
2. Curved in two planes
3. One cutting edge is used
4. All of the above

Correct answer: 4. All of the above